Suxamethonium causes all EXCEPT:
1. Muscle pain
2. Malignant hyperthermia
3. Hyperkalemia
4. Hypokalemia

Correct answer: 4. Hypokalemia

Explanation: Ans. D i.e. Hypokalemia Succinylcholine/ SCh Depolarizing muscle relaxant, Shortest acting depolarizing MR; Shortest acting MR Dual/ biphasic block, Rapidly hydrolyzed by pseudocholinesterase Pressure increased by SCh: - Intra-cranial pressure, - Intra-ocular pressure, - Intra-gastric pressure SCh causes: - Muscle pain, - Hyperkalemia, - Vagal stimulation Predisposing factors SCh induced hyperkalemia: - Massive trauma (rhabdomyolysis), - Burns, - Stroke/ encephalitis etc.